Multifocal non suppurative osteomyelitis is seen in
1. infantile cortical hyperostosis
2. thalassemia
3. salmonella infections
4. SAPHO syndrome

Correct answer: 4. SAPHO syndrome

Explanation: SAPHO syndrome : synovitis, acne, pustulosis, palmo- plantar, hyperostosis and osteitis ref : maheswari 9th ed